A 40 year old lady presents with bilateral Papilloedema. CT scan shows normal ventricles. Diagnosis is :
1. Benign intracranial hypertension
2. Malignant hypertension
3. Papillus
4. Raised intraocular pressure

Correct answer: 1. Benign intracranial hypertension

Explanation: A i.e. Benign intracranial hypertension